Ectopia lentis is seen in all except
1. Marfan's syndrome
2. Ehler Danlos syndromeq
3. Trauma
4. Osteogenesis imperfecta

Correct answer: 4. Osteogenesis imperfecta

Explanation: (Refer: AK Khurana Comprehensive Ophthalmology, 6th edition, pg no. 216 - 217) Types of lens dislocations in various disease:Marfan syndrome-superotemporalHomocystinuria-InferonasalWeil-Marchesani syndrome -forward Ectopia lentis is a displacement or malposition of the eye's crystalline lens from its normal location. A partial dislocation of a lens is termed lens subluxation or subluxated lens; a complete dislocation of a lens is termed lens luxation or luxated lens. Ectopia lentis syndrome is an inherited connective tissue disorder that shares some of the features of Marfan syndrome - particularly lens dislocation of the eye, which can cause serious vision problems.